True about hemiazygos vein are all EXCEPT:
1. Formed by right lumbar azygos and right ascending lumbar veins
2. Pierces left crus of diaphragm
3. Drains esophageal vein
4. At T8 level drains into azygos vein

Correct answer: 1. Formed by right lumbar azygos and right ascending lumbar veins

Explanation: Hemiazygos vein is formed by the confluence of the left ascending lumbar and left subcostal vein. It pierces left crus of diaphragm. Some part of abdominal part of abdominal esophagus drain into hemiazygous vein. At T8 level drain into azygous vein.